β-blocker with additional α-blocking property is
1. Propranolol
2. Timolol
3. Metoprolol
4. Labetalol

Correct answer: 4. Labetalol